True statement about Korsakoff's psychosis is -
1. Severe antegrade + Mild retrograde memory defect
2. Mild antegrade + severe retrograde memory defect
3. Only antegrade memory defect
4. Only retrograde memory defect

Correct answer: 1. Severe antegrade + Mild retrograde memory defect

Explanation: Korsakoff syndrome has sever antegrade amnesia and less severe retrograde amnesia.